Which of the following is included in the Levenson criteria for congenital cholesteatoma ?
1. White mass medial to normal tympanic membrane
2. Atticoantral perforation of the tympanic membrane
3. Definite history of otorrhoea
4. History of prior otologic procedures

Correct answer: 1. White mass medial to normal tympanic membrane

Explanation: Ans. is 'a' i.e., White mass medial to normal tympanic membrane Levenson criteria for congenital cholesteatoma White mass medial to normal TM. Normal pars flaccida and tensa. No history of otorrhea or perforations. No prior otologic procedures. Prior bouts of otitis media no ground for exclusions.